Forceps may be applied for delivery for all situations listed below, EXCEPT?
1. Saggital suture of head is 15 degree short of rotation in pelvis
2. Presenting part is face (mento anterior)
3. Presenting part is at zero station
4. Presence of caput succedaneum

Correct answer: 3. Presenting part is at zero station

Explanation: Following are the criteria for operative vaginal delivery Criteria for forceps delivery Outlet Fetal scalp visible without separating the labia Fetal skull has reached the pelvic floor Sagittal suture is in the anterio - posterior diameter or right or left occiput anterior or posterior position (rotation does not exceed 45o) Low Leading point of the skull (not caput) is at station plus 2 cm or more and not on the pelvic floor. Two Subdivisions: Rotation of 45o or less from the occipito - anterior position. Rotation of more than 45o including the occipito - posterior position Low and outlet procedures are acceptable now and mid and high are not done in modern obstetrics since they are associated with increased maternal and fetal morbidity. Forceps can be applied for mento-anterior face presentation and in the presence of caput. These both are contraindication for applying vacuum